According to the latest evidence the latent virus infection which is responsible for the pathogenesis of the achalasia is:
1. Herpes simplex 1
2. Hepatitis C infection
3. Rubella
4. Measles

Correct answer: 1. Herpes simplex 1

Explanation: It is believed that cause of ganglion cell degeneration in achalasia is an autoimmune process attributable to a latent infection with human herpes simplex virus 1 combined with genetic susceptibility. Ref: Harrison, Edition-18, Page-2431.